In COPD which is true
1. FEV1/FVC <0.7
2. FEV1/FVC (upward arrow)
3. RV (downward arrow)
4. TLV (downward arrow)

Correct answer: 1. FEV1/FVC <0.7

Explanation: COPD is characterised by reduced FEV1 with a reduction in FEV1/FVC ratio less than 0.7.With worsening disease severity,lung volumes may increase,resulting in an increase in TLC,RV and FRC. Reference:Harrison's medicine-18th edition,page no:2156.